18 year old female presents with an ovarian mass, her serum LDH & placental alkaline phosphate are found to be elevated. What is the treatment of choice in this condition?
1. B/L oophorectomy & post op radiotherapy
2. Oophorectomy on the involved side
3. Only chemotherapy
4. Hysterectomy with bilateral salpingopherectomy

Correct answer: 2. Oophorectomy on the involved side

Explanation: The given scenario suggests the diagnosis of Dysgerminoma Most common germ cell malignancy High risk: dysgenetic gonads, testicular feminisation syndrome Tumour markers: LDH, PLAP, (hcg may be raised in some but AFP is normal) In Dysgerminoma, conservative surgery (U/L Salphingo-Oophorectomy) recommended as most patient are Young girls Post operative Chemotherapy gives 90% success NOTE: bilateral salpingo-oophorectomy is not done here in order to conserve ovarian function and fertility unless mentioned that the presentation is bilateral.